True statement regarding Renal changes in Preeclampsia?
1. Increased GFR
2. Glomerulo endotheliosis
3. Increased renal blood flow
4. Persistent after delivery

Correct answer: 2. Glomerulo endotheliosis

Explanation: Renal changes in pre-eclampsia: Morphological changes are characterized by glomerular endotheliosis, which blocks the barrier which allow filtration Renal perfusion and glomerular filtration are reduced Urine sodium concentration is elevated Urine osmolality rises Urine: plasma creatinine ratio is elevated Diminished urinary excretion of calcium Plasma uric acid is elevated